Vaginal fornix is related to which of the following:
1. Morison's pouch
2. Pouch of Douglas
3. Intersigmoid recess
4. All of the above

Correct answer: 2. Pouch of Douglas

Explanation: Anteriorly, pouch of Douglas is bounded by the uterus and the posterior fornix of the vaginaFornices of vaginaThe fornices of the vagina are the deepest portions of the vagina, extending into the recesses created by the vaginal portion of cervix.There are three named fornices:- The posterior fornix is the larger recess, behind the cervix. It is close to the rectouterine pouch.- There are two smaller recesses in front and at the sides:The anterior fornix is close to the vesicouterine pouch.The lateral fornix.The fornices appear to be close to at least two erogenous zones, the AFE zone, which is near the anterior fornix, and the cul-de-sac, which is near the posterior fornix